Which of the following is NOT a concept of 'damage control surgery'?
1. Arrest hemorrhage
2. Control sepsis
3. Protect from furthur injury
4. Definitive repair of injury

Correct answer: 4. Definitive repair of injury

Explanation: Damage control surgery The minimum amount of surgery needed to stabilise the patient's condition may be the safest course until the physiological derangement can be corrected. Damage control surgery is restricted to only two goals: * stopping any active surgical bleeding; * controlling any contamination. Once these goals have been achieved then the operation is suspended and the abdomen temporarily closed. The patient's resuscitation then continues in the intensive care unit, where other therapeutic interventions can take place.Once the physiology has been corrected, the patient warmed and the coagulopathy corrected, the patient is returned to the operating theatre for any definitive surgery. Ref: Bailey and love 27th edition Pgno :378